Acetyl CoA Carboxylase is activated by:
1. Malonyl-CoA
2. Citrate
3. Palmitoyl-CoA
4. Acetoacetate

Correct answer: 2. Citrate

Explanation: Ans. B. Citrate(Ref: Harper 31/e page 221)Allosteric regulation of acetyl-CoA carboxylasePositive allosteric regulation or allosteric activation of acetyl-CoA carboxylase by citrateQPalmitoyl-CoA is an inhibitor of Acetyl CoA Carboxylase.